Which of the following arteries is a direct branch of the gastroduodenal artery?
1. Right gastric artery
2. Left gastric artery
3. Inferior pancreaticoduodenal artery
4. Right gastroepiploic artery

Correct answer: 4. Right gastroepiploic artery

Explanation: The greater curvature is supplied by the right gastroepiploic artery which is the direct branch from the gastroduodenal artery.
The right gastroepiploic artery runs between the layer of the greater omentum, anastomosing with the left gastroepiploic artery, a branch from the splenic artery.
The gastroduodenal artery arises from the common hepatic artery of the celiac trunk.